Hypothyroidism in sub-Himalayan is due to?
1. Iron
2. Iodine
3. Copper
4. Selenium

Correct answer: 2. Iodine

Explanation: "Iodine deficiency in sub-Himalayan terrain leads to endemic goitre and hypothyroidism”